The time taken for the cell to divide and pass through the entire epithelium is known as:
1. Differentiation.
2. Turn over time.
3. Desquamation.
4. Maturation.

Correct answer: 2. Turn over time.

Explanation: Differentiation – After mictosis, during its migration, a keratinocyte becomes committed to biochemical & morphologic changes.
Desquamation – Process of shedding of surface epithelial cells.
Maturation – Process of cell migration from the basal layer to the surface.
Turnover time / rate – The time taken for the cell to  divide & pass through the entire epithelium.